The Pectoralis major is classified as a
1. A) Spiral muscle
2. B) Cruciate muscle
3. C) Fusiform fasiculus
4. D) Bipennate muscle

Correct answer: 1. A) Spiral muscle

Explanation: Spiral or Twisted Fasciculi Spiral or twisted fibres are found in trapezius, pectoralis major, latissimus dorsi, supinator Ref:-BD chaurasia handbook of general anatomy , pg num:-91